A 60-year-old woman is having symptoms of muscle weakness and fatigue. On examination, her blood pressure is 110/80 mm Hg, pulse 100/min, JVP 1 cm, heart sounds normal, and lungs clear. Her serum potassium level is 2.5 mEq/L, bicarbonate 15 mEq/L, and anion gap is normal. The urine potassium is 10 mEq/L.For the above patient with hypokalemia, select the most likely diagnosis.
1. lower gastrointestinal (GI) losses
2. prior use of diuretics
3. RTA
4. current use of diuretics

Correct answer: 1. lower gastrointestinal (GI) losses

Explanation: In lower GI loss (diarrhea), the blood pressure is normal, the urine potassium is low (< 25 mmol/F), and the bicarbonate is either normal or low.